Mechanism of action of Nitric oxide is through
1. cGMP
2. cAMP
3. Ca++
4. Tyrosine

Correct answer: 1. cGMP

Explanation: Nitric oxide is formed from Arginine, released from endothelial cells and acts through cGMP to cause vasodilation.